A child presents with infective skin lesion of the leg. Culture showed hemolytic colonies which were gram + ve cocci in chains. The test to confirm the organism is
1. Optochin sensitivity
2. Bile solubility
3. Catalase positive
4. Bacitracin sensitivity

Correct answer: 4. Bacitracin sensitivity

Explanation: Hemolytic colonies with gram-positive cocci in chains suggest either alpha or beta-hemolytic streptococci. Bacitracin sensitivity is used to differentiate between streptococci as follows: Group A: Bacitracin sensitive Group B: Bacitracin resistant Bile solubility and optochin sensitivity are used to differentiate Pneumococcus and Streptococcus viridans Catalase test is used to differentiate Streptococcus and Staphylococcus Reference: Ananthanarayan and Paniker's Textbook of Microbiology Tenth edition